In volume–cycled ventilation the inspiratory flow rate is set at –
1. 140–160 L/min
2. 110–130 L/min
3. 60–100 L/min
4. 30–50 L/min

Correct answer: 3. 60–100 L/min

Explanation: Inspiratory flow rate setting for ventilator is 60-80 litres / minute.